The penicillin G preparation with the longest duration of action is :
1. Benzathine penicillin
2. Sodium penicillin
3. Potassium penicillin
4. Procaine penicillin

Correct answer: 1. Benzathine penicillin